Lymphoepithelial change in stomach is seen in -
1. Maltoma
2. Coeliac disease
3. Ipsidoma
4. IBS

Correct answer: 1. Maltoma

Explanation: The stomach is the most common site for extranodal lymphoma.
Nearly all gastric lymphomas are B-Cell Lymphomas of mucosa-associated lymphoid tissue (MALT lymphoma).
The majority are associated with chronic gastritis and H. pylori infection.

In MALT Lymphoma, monomorphic lymphocytic Infiltrate of the lamina propria surrounds gastric glands massively infiltrated with atypical lymphocytes and undergoing destruction → the lymphoid - epithelial lesion.